When galactorrhea occurs in a high school student, a diagnostic associated finding would be
1. Gonadal atrophy
2. Bitemporal hemianopia
3. Exophthalmos and lid lag
4. Episodic hypertension

Correct answer: 2. Bitemporal hemianopia

Explanation: Prolactin-secreting tumors in the pituitary gland (previously called chromophobe adenomas) may grow to large size and cause bitemporal hemianopia because of proximity to the optic chiasm. They are typically associated with amenorrhea and galactorrhea (the "A/G syndrome") in women. In both sexes lack of libido and impotence or infertility may be noted. Sexual vigor is usually restored after removal of the adenomas. These tumors are not life threatening; if their physical size is not an issue or the relative sexual dysfunction is not a problem, benign neglect is sometimes recommended.